False about Cytarabine is
1. It is very short acting
2. It is given as continous IV infusion
3. It can lead to cerebellar toxicity
4. It is a purine analogue

Correct answer: 4. It is a purine analogue

Explanation: Cytarabine is a Pyrimidine analogue.
Other Pyrimidine analogues are 5-flurouracil, Capecitabine, Gemcitabine & Azacitidine.